Reactive arthritis is usually caused by-
1. Shigella flexineri
2. Shigella boydli
3. Shigella shiga
4. Shigella dysentriae

Correct answer: 1. Shigella flexineri